Which favor face presentation:a) Anencephalyb) Contracted pelvisc) Placenta praevia d) Thyroid swellinge) Bicornuate uterus
1. abd
2. bcd
3. abc
4. ab

Correct answer: 1. abd